All of these are derivative of neural crest except
1. Melanocyte
2. Adrenal medulla
3. Sympathetic ganglia
4. Cauda equina

Correct answer: 4. Cauda equina

Explanation: D. i.e. Cauda Equina